The number of abortions performed divided by the number of live births in the same period is known as
1. Abortion rate
2. Abortion incidence
3. Abortion prevalence
4. Abortion ratio

Correct answer: 4. Abortion ratio

Explanation: Abortion ratio is calculated by dividing the number of abortions performed during a particular time period by the number of live births over the same period Reference : Park's textbook of preventive and social medicine, 23rd edition, Page no: 489